The first country to adopt salt fluoridation was
1. France
2. Germany
3. Jamaica
4. Switzerland

Correct answer: 4. Switzerland